Function of UGA codon -
1. Initiates transcription
2. Translates
3. Terminates protein synthesis
4. None

Correct answer: 3. Terminates protein synthesis

Explanation: Ans. is 'c' i.e., Terminates protein synthesis o Termination (stop/nonsense) codons signal to terminate the translation. These are 3 stop codons UAA, UGA and UAGo Initiation codon - AUGo Stop codons (termination codons or nonsense codons) - UAA, UGA, UA G